Period of embryo is.
1. 2-8 weeks
2. 7-36 weeks
3. 37-48 weeks
4. 1-2 weeks

Correct answer: 1. 2-8 weeks